KOH wet mount is used for diagnosis of -
1. Bacteria
2. Virus
3. Fungus
4. Parasite

Correct answer: 3. Fungus

Explanation: Ans. is 'c' i.e., Fungus * Tissue specimens such as skin scarpings, are generally examined as wet mounts after treatment with 10% KOH.* KOH (alkali) digests cells and other tissue materials, enabling the fungus elements to be seen clearly.